Grade III (contaminated) wound is/ are-
1. Appendicular perforation
2. Wound contaminated with gross fecal material spillage
3. Wound in urinary tract without unusual contamination
4. Surgery over a clean site

Correct answer: 2. Wound contaminated with gross fecal material spillage

Explanation: Answer- B. Wound contaminated with gross fecal material spillageContaminated wounds (class III) include open accidental wounds encountered early after injury, those with extensive introduction of bacteria into a normally sterile area of the body due to major breaks in sterile technique (e.g., open cardiac massage), gross spillage of viscus contents such as from the intestine, or incision through inflammed, albeit nonpurulent tissue.